The ovarian tumor which is most likely to be associated with virilization is
1. Granulosa tumor
2. Sertoli-Leydig cell tumor
3. Immature teratoma
4. Gonadoblastoma

Correct answer: 2. Sertoli-Leydig cell tumor

Explanation: Sertoli-Leydig cell tumors, which represent less than 1% of ovarian tumors, may produce symptoms of virilization. Histologically, they resemble fetal testes; clinically, they must be distinguished from other functioning ovarian neoplasms as well as from tumors of the adrenal glands, since both adrenal tumors and Sertoli-Leydig tumors produce androgens. Ref: Shaw's Textbook of Gynaecology; 16th edition; Chapter 33; Ovarian tumors